Least common finding in lymphoedema
1. Ulcer
2. Pitting
3. Chronic eczema
4. Swelling

Correct answer: 1. Ulcer